Acquired symmetric hyper pigmentation of the sun exposed skin of the face and neck, which is strongly associated with pregnancy & use of oral contraceptives is called-
1. Melanoma
2. Cafe-au-lait spots
3. Freckle
4. Melasma

Correct answer: 4. Melasma

Explanation: (Ref: Burket, Ed. 10th Pg-132) * Melasma or Cholasma describes the discrete patches of facial pigmentation which occur in pregnancy and in some women taking oral contraceptives. * This pigmentation is seen particularly in periorbital and perioral region.